Which of the following local anaesthetic agent of choice to remove corneal foreign bodies
1. Benzocaine
2. Lignocaine
3. Tetracaine
4. Prilocaine

Correct answer: 3. Tetracaine

Explanation: Tetracaine is topical anaesthetic agent used in removal of corneal foreign bodies.